Lowest chance of recipient failure in transplant is seen in:
1. Allograft
2. Isograft
3. Xenograft
4. Heterotropic graft

Correct answer: 2. Isograft

Explanation: Ans. (b) IsograftRef: Bailey 26th ed, page 1426* Isograft: A graft between identical donor such as identical twin* Hence the rejection rate is the lowest